Which part of the brain gets activated first to initiate skilled movements?
1. Pons
2. Basal ganglia
3. Neocortex.
4. Cerebellum

Correct answer: 3. Neocortex.

Explanation: Neocortex. FUNCTIONAL DIVISION OF CEREBRAL CORTEX: Divided into 2 areas - Primary cortical area Both motor & sensory areas Includes Primary auditory cortex, Primary olfactory area, Primary gustatory areas & Primary motor areas Association areas: Higher functions are related to association areas Other functions: First center activated to initiate skilled movements is "Neocortex".